What type of joint is the growth plate
1. Fibrous
2. Primary cartilaginous
3. Secondary cartilaginous
4. Plane joint

Correct answer: 2. Primary cartilaginous

Explanation: Epiphysis & diaphysis of bone is connected by growth plate/ epiphyseal plate It is made up of hyaline cartilage Epiphyseo-diaphyseal joint is primary cartilaginous joint called synchondrosis